Fogarty's catheter is used for -
1. Drainage of urinary bladder
2. Parenteral hyperalimentation
3. Removal of embolus from blood vessels
4. Ureteric catheterisation

Correct answer: 3. Removal of embolus from blood vessels

Explanation: Ans. is 'c' i.e., Removal of embolus from blood vessels